Anterior cruciate ligament prevents -
1. Anterior dislocation of tibia
2. Posterior dislocation of tibia
3. Anterior dislocation of femur
4. Posterior dislocation of femur

Correct answer: 1. Anterior dislocation of tibia

Explanation: Anterior cruciate ligaments prevent anterior displacement of tibia over femur.